Lateral umbilical fold of Peritoneum is produced by?
1. Median umbilical ligament
2. Medial umbilical ligament
3. Inferior epigastric vessels
4. None of the above

Correct answer: 3. Inferior epigastric vessels

Explanation: Ans.is 'c' i.e., Inferior epigastric vesselsUmbilical folds are reflections of the parietal peritoneum that are raised from the body wall by underlying structures.A median umbilical fold :Covers median umbilical ligament (a remnant of urachus).Two medial umbilical folds :Cover medial umbilical ligaments (remnants of distal part of obliterated umbilical artery).Two lateral umbilical folds :Cover inferior epigastric vessel.